CT severity index is a measure of
1. Hepatitis
2. Pancreatitis
3. Cerebral trauma
4. Meningitis

Correct answer: 2. Pancreatitis

Explanation: Ans. (b) PancreatitisRef: Sabiston 20th ed; pg. 1528* Balthazar scoring is a CT scoring system* CTSI is one of the best system used to classify the severity of pancreatitis.